Central dot sign is seen in:
1. Caroli's disease
2. Primary sclerosing cholangitis
3. Polycystic liver disease
4. Liver hamartoma

Correct answer: 1. Caroli's disease

Explanation: A. i.e. Caroli's disease Central dot sign is considered pathognomonic of carolis diseaseQ. This sign consists of cystically dilated intra hepatic biliary radicles with a "dot" of increased density represented by portal radicle with the lumen of duct. Caroli's disease Communicating cavernous ectasia of the intrahepatic bile ducts. (IHBD). - AR congenital disorder - Segmental, saccular dilatation of the IHBD. - A/W: - Choledochal cyst and - AR polycystic kidney disease (ARPKD) Signs Disease Central dot signQ Caroli's disease Pruned- Tree appearance / Beaded appearenceQ / Skip lesions Primary sclerosing cholangitis Light bulb appearance Liver Hemangioma (on T2W MRI) Water lily sign /HoneycombingQ Liver hydatid